You have to draw blood from a patient. When will you
give EDTA?
1. Orally starting several days before
2. Through I.V. route before drawing blood
3. EDTA is not an anticoagulant
4. EDTA will be added in test tube

Correct answer: 4. EDTA will be added in test tube